Best way to prevent infection after cataract surgery is-
1. Antibiotics
2. Eyebrows shaving
3. Through irrigation
4. None of the above

Correct answer: 1. Antibiotics

Explanation: 4 times for 14 days comprehensive ophthalmology. REF:khurana,pg no 210